Side effects of clozapine include all except
1. Agranulocytosis
2. Hypersalivation
3. Myocarditis
4. Hyperprolactinemia

Correct answer: 4. Hyperprolactinemia

Explanation: (D) Hyperprolactinemia DRUGS INDUCING SUSTAINED HYPERPROLACTINEMIAAntipsychoticsTypicalHaloperidol Chlorpromazine, Thioridazine, Thiothixene AtypicalRisperidone, Amisulpride Molindone, ZotepineAntidepressantsTricyclicsAmitriptyline, Desipramine Clomipramine Amoxapine SSRISertraline, Fluoxetine, Paroxetine MAO-IPargyline, ClorgylineOther Psychotropics Buspirone AlprazolamProkinetics Metoclopramide, DomperidoneAntihypertensive Alpha-methyldopa, Reserpine, VerapamilOpiates MorphineH2 Antagonists Cimetidine, RanitidineOthers Fenfluramine, Physostigmine ChemotherapiesNote: Only drugs with demonstrated ability to induce hyperprolactinemia above the normal range have been included in this table.> Clozapine is an atypical antipsychotic medication used in the treatment of schizophrenia, and is also used off-label in some juris- dictions for the treatment of bipolar disorder.> Adverse effects: The use of clozapine is associated with side effects, many of which are minor, though some are serious and potentially fatal: the more common include extreme constipation, bed-wetting, night-time drooling, muscle stiffness, sedation, tremors, orthostatic hypotension, hyperglycemia, and weight gain. The risks of extrapyramidal symptoms such as tardive dyskinesia are much less with clozapine when compared to the typical antipsychotics; this may be due to clozapine's anticholinergic effects.> Extrapyramidal symptoms may subside somewhat after a person switches from another antipsychotic to clozapine.> Clozapine also carries eleven black box warnings for agranulocytosis, CNS depression, leukopenia, neutropenia, seizure disorder, bone marrow suppression, dementia, hypotension, myocarditis, orthostatic hypotension (with or without syncope) and seizures. Lowering of the seizure threshold may be dose related and slow initial titration of dose may decrease the risk for precipitating seizures. Slow titration of dosing may also decrease the risk for orthostatic hypotension and other adverse cardiovascular side effects.